Weber's test lateralizing to the affected side means
1. Conductive hearing loss
2. Sensorineural hearing loss
3. Mixed loss
4. Brainstem damage

Correct answer: 1. Conductive hearing loss

Explanation: Weber's testLateralized to poorer ear- conductive hearing lossLateralized to better ear- SNHLNo lateralization - NormalRef: PL Dhingra, Diseases of Ear, Nose & Throat, 7th edition, pg no. 24